Which of the following structures is derived from the diencephalon
1. Caudate nucleus
2. Cerebellum
3. Olfactory bulbs
4. Neurohypophysis

Correct answer: 4. Neurohypophysis

Explanation: Neurohypophysis develops from the diencephalon. Adenohypophysis (pars distalis, pars tuberalis, and pars intermedia) develops from the Rathke's pouch, ectodermal diverticulum of the stomodeum. Caudate nucleus & olfactory bulbs develop from the telencephalon. Cerebellum develops from the metencephalon Primary Vesicles Secondary Vesicles Adult Derivatives Prosencephalon Telencephalon Cerebral hemispheres, Caudate , putamen, amygdaloid, claustrum, lamina terminalis, olfactory bulbs, hippocampus Diencephalon Epithalamus, subthalamus, thalamus, hypothalamus, mammilary bodies, neurohypophysis, pineal gland, retina, iris, ciliary body, optic nerve (CN II), optic chiasma, optic tract. Mesencephalon Mesencephalon Midbrain Rhombencephalon Metencephalon Pons, Medulla Myelencephalon Medulla Ref: Gray's Anatomy 41st edition Pgno: 238